The parasitic cause of uveitis and Visceral larva migrans is:
1. Toxocara
2. Amoebiasis
3. Taenia solium
4. Oncocercosis

Correct answer: 1. Toxocara

Explanation: Toxocara